Pomeroy technique is for -
1. Tubal ligation
2. Laparoscopy
3. Hysteroscopy
4. Mini laparotomy

Correct answer: 1. Tubal ligation

Explanation: Ans. is 'a' i.e., Tubal ligation Minilaparoscopy method- Modified Pomeroy method Pomeroy method o Most popular method of tubal ligation o Failure rate is only 0.4% & is mainly due to spontaneous conization. Other methods used for minilaprotomy are: o Madlener operation o Irving method o Aldridge method o Cornual resection o Uchida method o Fimbriectomy.